The antiviral drug recommended for treatment of Herpes Zoster infection of Trigeminal nerve
distribution in an immunocompromised host is
1. Fomivirsen
2. Vidarabin
3. Famciclovir
4. Entecavir

Correct answer: 3. Famciclovir